Feature of slow sand filter
1. Fit in a little space
2. Filter is cleaned by back washing
3. Can be handled by less killed person
4. Used in Big cities

Correct answer: 3. Can be handled by less killed person